Bilateral hilar lymphadenopathy with non-caseating granuloma is seen in -
1. TB
2. Lymphoma
3. Sarcoidosis
4. All of the above

Correct answer: 3. Sarcoidosis

Explanation: Sarcoidosis 

Sarcoidosis is an immune system disorder characterized by the presence of non-caseating granulomas.
The cause of the disease is still unknown.
Virtually any organ can be affected, however, granulomas most often appear in the lung or the lymph nodes → Bilateral hilar lymphadenopathy or lung involvement is visible on chest radiograph in 90% of cases.

Histology

Histologically involved tissues show the classical non-caseating granulomas, composed of an aggregate of tightly clustered epithelioid cells, often with Langhans or foreign body type giant cells. Central necrosis is unusual → noncaseating.
Granulomas also contain.

i. Schaumann bodies → Laminated concretions composed of calcium and proteins.
ii. Asteroid bodies  → Stellate inclusions within giant cells.